Fracture neck femur cause of non-union
1. smoking
2. Poor nutrition of the patient
3. Injury to blood supply with shearing stress
4. Old age and osteoporosis

Correct answer: 3. Injury to blood supply with shearing stress

Explanation: Estimates of wall shear stress at various locations in the circulation have been level of shear stress due to alterations in blood flow rate and vessel wall diameter.in part, in vivo responses of injured or activated endothelium to shear stress.